TRH stimulates the release of?
1. Prolactin only
2. TSH only
3. Both
4. None

Correct answer: 3. Both

Explanation: ANSWER: (C) BothREF: Guyton's physiology 22nd edition Table 74-1 Page 907Thyrotropin-releasing hormone (TRH), also called thyrotropin-releasing factor (TRF), thyroliberin or protirelin, is a tropic tripeptide hormone that stimulates the release of thyroid-stimulating hormone and prolactin by the anterior pituitary.